All of the following statements are true about paxclitaxel are true except
1. It is obtained from E. Coli
2. Iy acts By enhancing the polymerization of beta tubulin
3. It can cause bone marrow suppression
4. It is used in ovarian and breast cancer

Correct answer: 1. It is obtained from E. Coli

Explanation: Major indications for paclitaxel are Ovarian cancer Breast cancer Head and neck cancer Small cell carcinoma of lung Esophageal adenocarcinoma Prostrate cancer Refer KDT 7th/875